A 35 years multiparous lady with 30 weeks Pregnancy presents with sudden onset painless vaginal bleeding. USG done shows presence of:
1. Abruption placenta
2. Placenta previa
3. Vasa previa
4. Sub-amniotic cyst

Correct answer: 2. Placenta previa

Explanation: Ans. (b) Placenta previa.* The image shows internal cervical os cannot be visualized. The second black shadow appears to be the urinary bladder.* In mid-gestation the placenta occupies 50% of the uterine surface. By 40 weeks' gestation, the placenta occupies 17 - 25% of the uterine volume.* Since about one-third cases of antepartum haemorrhage belong to placenta previa and are more common in multiparous women. In clinical setting of painless bleeding in multiparous woman in 30 weeks of pregnancy diagnosis goes in favour of placenta previa.* The high risk factors for placenta previa are (a) Multi-parity (b) Increased maternal age (> 35 years) (c)History of previous caesarean section or any other scar in the uterus (myomectomy or hysterotomy) (d) Succenturiate lobes.